Vitamin B12 is not found in -
1. Soyabean
2. Milk
3. Meat
4. Fish

Correct answer: 1. Soyabean

Explanation: Vitamin B-12 is not found in foods of vegetable orgin.REF. PARK'S TEXTBOOK OF PREVENTIVE AND SOCIAL MEDICAL 21ST EDITION. PAGE NO - 620